All are seen in papilledema after a head injury except-
1. Blurring of disc margin
2. Hyperemia
3. Afferent pupillary defect
4. Filling of cup

Correct answer: 3. Afferent pupillary defect

Explanation: Pupillary reactions usually remain fairly normal until late stages.